Area between one standard deviation on either side of mean in normal distribution curve is -
1. 62%
2. 68%
3. 90%
4. 99%

Correct answer: 2. 68%

Explanation: Ans. is 'b' i.e., 68%